All are true about Swajaldhara programme except:
1. Community led, participatory program
2. Provide drinking water in Rural areas
3. State government maintain and manage all water supply
4. Encourage water harvesting practices

Correct answer: 3. State government maintain and manage all water supply

Explanation: Swajaldhara programme Launched: 25 December, 2002 Description: Community led, participatory programme with aim of providing drinking water in rural areas though community participation. It has 2 components Swajaldhara I: Gram panchayat /Group of panchayats(block/tehsil) Swajaldhara II: District as a project area Current status: Renamed as National Rural Drinking water programme, a component of Bharat Nirman